Epithelium lining of lingual surface of epiglottis is:
1. Simple columnar
2. Pseudostratified ciliated columnar
3. Simple cuboidal
4. Stratified squamous epithelium

Correct answer: 4. Stratified squamous epithelium

Explanation: Epiglottis  has  two  surfaces,  the  lingual  surface  is  lined  by  oral  epithelium,  which  is  stratified  squamous  epithelium. The laryngeal surface has respiratory epithelium-pseudostratified ciliated columnar epithelium with goblet cells.
Larynx is lined by respiratory epithelium (pseudostratified ciliated columnar epithelium with goblet cells) except at the vocal cords, which are lined by stratified squamous epithelium.